One of the earliest features of Neonatal sepsis is:
1. Alteration of established feeding behaviour
2. Shock
3. Bleeding
4. Sclerema

Correct answer: 1. Alteration of established feeding behaviour

Explanation: Alteration of established feeding behaviour - is one of the earliest features of neonatal sepsis.